Lowest threshold potential in a motor nerve fibre is at:
1. Dendrite
2. Body
3. Axon hillock
4. Axon

Correct answer: 3. Axon hillock

Explanation: C i.e. Axon hillock